True statement regarding Gansers syndrome is:
1. Involuntary
2. Psychotic symptoms absent
3. Memory symptoms absent
4. Approximate answers

Correct answer: 4. Approximate answers

Explanation: Ans: D (Approximate answers) Ref: Bhatia's Textbook of Psychiatry, P.185Explanation:Gansers SyndromeIt is a voluntary production of psychotic, memory symptoms and approximate answers.It is common in males, especially seen in prison inmates/ hospitalized persons.It is a form of malingering (voluntary and wilful production of symptoms with the aim of materialistic gain) .E.g., if a female complains of headache to get money from her husband and spending it on movies - malingering. If the female complains of headache get attention and affection from her ever-running husband- factitious disorder.Approximate answers- VorbeiredenVerbegeration- Meaningless repetition of words (syn. Cataphasia)Neologism- New word with only self-referential meaning.Word salad- Mixing up of syllables resulting in un-understandable words.All three are seen in Schizophrenia.